Seddon's Classification all are true except:
1. Complete anatomic division of nerve is classified as Neurotmesis
2. Axonotmesis has Tinel's sign positive and progressive
3. Neurotmesis has complete recovery with/without surgical intervention
4. Saturday night palsy involves radial nerve

Correct answer: 3. Neurotmesis has complete recovery with/without surgical intervention

Explanation: SEDDON'S CLASSIFICATION Neuropraxia: Tinel's Sign Negative Temporary physiological disruption of nerve impulse conduction. The loss of function is incomplete. Complete recovery in 3-6 weeks and comes back like lightening, i.e. completely recovers in one go. No Wallerian degeneration takes place Tinel's sign is negative. Crutch palsy Saturday night palsy Tourniquet palsy Few traumatic nerve injuries are neuropraxia Axonotmesis: Tinel's Sign Positive and Progressive It is axonal breakdown, Tinel's sign is positive, Motor March is seen . Recovery is usually not complete. Seen in closed fractures and dislocations Neurotmesis: Tinel's Sign is Positive and Non progressive Complete anatomic section of the nerve. No recovery without surgical intervention. Degeneration distal to injuries (Secondary or Wallerian degeneration) Degeneration in proximal segment (Primary or retrograde degeneration) At proximal end forms-- Neuroma At distal end forms-- Glioma